Which of the following is not seen in a case of borderline personality disorder?
1. Identity crisis
2. Dissociative events
3. Risk taking behaviour
4. Strong interpersonal relationships

Correct answer: 4. Strong interpersonal relationships

Explanation: Ans: D (Strong interpersonal relationships) Ref: Synopsis of psychiatry, Kaplan & Sadock,10th editionExplanation:Borderline personality disorderIt is a type of personality disorder.It is typically seen in females, especially in young adults.The basic problem in borderline personality disorder is 'poor self-image' resulting in abnormal way of perceiving, experiencing, thinking, feeling and behaving in this group.The sense of poor self is reflected by frequent identity crisis and chronic inner emptiness.They have higher level of sensitivity over real/ perceived (the latter is more) rejection, failure.Emotional dyseontrol is common as evidenced by anger outbursts.They find difficulty in focussing and are more prone to develop dissociation.These people form as well as break relationships quickly and over trivial reasons.Their actions are impulsive in nature and carry no planning.They are more prone to hurt themselves (self- injurious behaviour in the form of frequent wrist slashing, tablet poisoning etc..) and others (temper tantrums)Mood stabilizers like Valproate have been found useful (the ONLY personality disorder where pharmacotherapy found effective so far).Dialectic behaviour therapy (DBT) is the psychotherapeutic method found useful.